Patchy and specific lesions in intestinal biopsy is seen in case of:
1. Whipples disease
2. Abetalipoproteinemia
3. Immune globulin deficiency
4. Intestinal lymphoma

Correct answer: 4. Intestinal lymphoma

Explanation: Patchy, Specific lesions in small intestinal biopsy Intestinal lymphoma Malignant cells in lamina propria and submucosa Intestinal lymphangiectasia Dilated lymphatics and clubbed villi Eosinophilic gastroenteritis Eosinophil infiltration of lamina propria and mucosa Amyloidosis Amyloid deposits Crohn's disease Noncaseating granulomas Infection by one or more microorganisms Specific organisms Mastocytosis Mast cell infiltration of lamina propria ALSO NOTE: Diffuse, Specific Whipple's disease Lamina propria contains macrophages containing PAS+ Agammaglobulinemia No plasma cells; either normal or absent villi Abetalipoproteinemia Normal villi / epithelial cells vacuolated with fat Ref: Harrison, E-18, P-2468.